Deleterious effect of ultrasound on small organism is:
1. Ionisation
2. Vacoulation
3. Cavitation
4. Disintegration

Correct answer: 3. Cavitation

Explanation: Ans. Cavitation